True about saphenous vein
1. 1cm anterior to medial malleolus process
2. 1cm inferior to medial malleolus process
3. 1cm posterior medial malleolus process
4. 1cm superior to medial malleolus process

Correct answer: 1. 1cm anterior to medial malleolus process